Pseudo-myxoma peritonei occur due to?
1. Dysgerminoma
2. Brenner s tumor
3. Theca cell tumor
4. Mucinous cystadenosarcoma

Correct answer: 4. Mucinous cystadenosarcoma

Explanation: Pseudomyxoma peritonei (PMP) is a clinical condition caused by cancerous cells (mucinous adenocarcinoma) that produce abundant mucin or gelatinous ascites.
The primary tumor appears to arise from the MUC2 expressing goblet cells and most commonly from these cells in the appendix. The K-Ras and p53 genes may be involved in the oncogenesis. It may be diagnosed with a range of conditions.
While the majority of these cases are associated with appendiceal carcinoma other conditions may also be found, including disseminated peritoneal adenomucinosis (DPAM), peritoneal carcinomas, several mucinous tumors (mucinous adenocarcinoma, mucinous cystadenoma, and mucinous cystadenocarcinoma), as well as other disease states
This will result in compression of organs and will destroy the function of colon, small intestine, stomach, or other organs. Prognosis with treatment in many cases optimistic, but the disease is lethal if untreated, with death by cachexia, bowel obstruction, or other types of complications.